All are true about Diabetes mellitus except -
1. DKA is commoner in type II
2. HHS is primarily seen in individuals with 2 DM
3. Serum sodium in DKA is 125-135 nmol/L
4. Serum bicarbonate in DKA is<15 meq/L

Correct answer: 1. DKA is commoner in type II

Explanation: DKA is more common in type 1 diabetes . People with type 1 diabetes are at risk for ketoacidosis, since their bodies don't make any insulin Ref - Harrisons internal medicine 20e